A "holograph will" is-
1. Testator is dictated and written by relatives
2. Testator is dictated and written by doctor
3. Doctor dictates and written by relatives
4. Testator is written in his own handwriting

Correct answer: 4. Testator is written in his own handwriting

Explanation: Ref:The essential of forensic medicine and toxicology Dr.K.S NARAYAN REDDY 32nd edition pg no 468 Holograph will is one which is written by testator in his own hand writing .Docters are sometimes called upon to witness the execution of will of a sick person testator is said to be of sound mind if he is capable of diposing of his property with understanding and reason